All are criteria for SIRS except
1. Hypothermia (<36degC)
2. Tachycardia (>90/min)
3. Tachypnoea (>20/min)
4. White cell count >10 x 10^9/litre

Correct answer: 4. White cell count >10 x 10^9/litre

Explanation: SIRS is two of:hyperthermia (>38degC) or hypothermia (<36degC)tachycardia (>90/min, no b-blockers) or tachypnoea (>20/min)white cell count >12 x 10^9/litre or <4 x 10^9/litreRef: Bailey and Love 27e pg: 51